The treatment of choice for Anaplastic carcinoma of thyroid infiltrating trachea and sternum will be-
1. Radical excision
2. Chemotherapy
3. Radiotherapy
4. Palliative/Symptomatic treatment

Correct answer: 4. Palliative/Symptomatic treatment

Explanation: Ans. is 'd' i.e., Palliative/Symptomatic treatment Anaplastic tumour is one of the most aggressive thyroid malignancies, with a few patients surviving 6 months beyond diagnosis.Prognosis is very poor in these patients and none of the t/t modality appears to be useful in these patients.T/T of Anaplastic Ca :* When the disease is confined to the thyroid and - Complete resection (even with complete possibly the strap muscles resection survival rarely exceeds 6 months)When the cancer presents in an advanced stage - with tracheal obstructionUrgent tracheal decompression is required.Trachea is decompressed and tissue is obtained for histology by isthmusectomyTracheostomy is best avoidedCombined radiation and chemotherapy as adjuvant in resectable cases has been associated with prolonged survival. These are now also being used in neoadjuvant setting.